Sitaram a 40-year old man, met with an accident and comes to emergency department with engorged neck veins, pallor, rapid pulse and chest pain Diagnosis is -
1. Pulmonary Laceration
2. Cardiac tamponade
3. Hemothorax
4. Splenic rupture

Correct answer: 2. Cardiac tamponade